Which vitamin is necessary for coenzyme A synthesis
1. Pantothenic acid
2. Ascorbic acid
3. Biotin
4. Pyridoxine

Correct answer: 1. Pantothenic acid

Explanation: Pantothenic acid is required for CoA and acyl carrier protein.